Ludwig's angina is -
1. Unstable angina
2. Prizmetal's angina
3. Infection of submandibular space
4. Infection of retropharyngeal space

Correct answer: 3. Infection of submandibular space

Explanation: Ans. is 'c' i.e., Infection of submandibular space o Caldwell-Luc operation is a process of opening the maxillary antrum through canine fossa by sublabial approach and dealing with the pathology inside the antrum.o In this surgery, antrum is reached through a incision in gingivolabial sulcus (from lateral incisor to 2nd molar) and then opening of antrum in this area.o During the surgery a noso-antral window is made through the inferior meatus so that after the surgery, packing of sinus can be removed through this window.